Kerion is:
1. Viral infection
2. Fungal infection
3. Bacterial infection
4. Parasitic infection

Correct answer: 2. Fungal infection

Explanation: Ans. B: Fungal Infection Kerion is severe form of tinea capitis, in which well-circumscribed parts of the scalp are transformed into a painful, boggy, inflamed, confluent mass with loosened hair (easy pluckability), purulent folliculitis, crusting, often with lymphadenopathy It is commonly due to a zoophilic dermatophyte (e.g., M.canis).